Anti-fungal drug Nikkomycin acts by
1. Inhibit ergosterole synthesis
2. Inhibit cell wall synthesis
3. Inhibit nucleic acid synthesis
4. Interferes with mitosis

Correct answer: 2. Inhibit cell wall synthesis

Explanation: Ans.e.B., Inhibit cell wall synthesisAntifungal drugs act by -Altering membrane permeability > polyenes, Azoles, Allylamines.Interferes with mitosis (disrupts microtubules) > Griseofulvin.Inhibit cell wall synthesis > Caspofungin, Nikkomycrn.Inhibit nucleic acid synthesis (inhibit thYmidylate synthase) > Flucytosine (5_FC).